Derivative of 3rd pharyngeal arch
1. Hyoid artery
2. On left , aortic arch; on right, proximal part of right subclavian artery
3. Common Carotid artery and proximal part of internal carotid artery
4. Proximal part of pulmonary arteries and (on the left only) ductus arteriosus

Correct answer: 3. Common Carotid artery and proximal part of internal carotid artery